TRUE about 'Capacitation' of sperm:
1. Can be induced in IN-Vitro
2. Acrosomal reaction is capacitation
3. Its same as Zona reaction
4. Capacitation takes place in testis

Correct answer: 1. Can be induced in IN-Vitro

Explanation: Both capacitation and the acrosome reaction can be induced in vitro. So in IVF, following semen collection and sperm processing sperm are incubated in media for 3 to 4 hours to promote sperm capacitation and the acrosome reaction. The process of capacitation involves removal of inhibitory mediators such as cholesterol from the sperm surface, tyrosine phosphorylation, and calcium ion influx. The spermatozoa move up the uterus to the isthmus of the uterine tubes, where they slow down and undergo capacitation. Near the time that the egg enters the ampulla of the tube, sperm initiate the capacitationprocess and are released from the oviduct epitheliumin a hyperactivated state This further maturation process involves two components: Increasing the motility of the spermatozoa and facilitating their preparation for the acrosome reaction. Capacitation is not an essential step though, since fertilisation can also happen in 'Vitro'.